All are true about Panel discussion except
1. Panel of 4-8 experts discuss a health topic
2. Audience is present
3. Specific order, Set speeches
4. Audience can take part

Correct answer: 3. Specific order, Set speeches